Intravenous resuscitation is required in a patient with 30% burns. Which of the following will be the best choice of fluid in the first 24 hours?
1. Normal saline
2. Dextrose 5%
3. Ringer lactate
4. Whole blood

Correct answer: 3. Ringer lactate

Explanation: Most commonly used fluid for resuscitation in burns is ringer lactate. Some centres use human albumin solution or fresh-frozen plasma, and some centres use hypertonic saline. Intravenous resuscitation is indicated for children with a burn greater than 10% TBSA and adults with 15% TBSA. Parkland formula is the most widely used formula for calculating fluid replacement in the first 24 hours. The formula is Volume in ml = Total percentage body surface area x weight in kilograms x 4. Half of this volume is given in first 8 hours, and the second half is given in the subsequent 16 hours. In children, maintanence fluid is also given which is primarily dextrose saline. Ref: Bailey and Love's Short Practice of Surgery, 24th edn, Page 271-2